Fosphenytoin is different from phenytoin as
1. It is less damaging to intima on intravenous administration
2. It can be injected in a drip of glucose solution
3. It is a prodrug of phenytoin
4. All the above

Correct answer: 4. All the above

Explanation: Ans. is 'd' i.e., All the above Fosphenytoin* This water soluble prodrug of phenytoin* It has been introduced to overcome the difficulties in i.v. administration of phenytoin in status epilepticus.* In the body, it is rapidly converted to phenytoin.* Its doses are expressed as phenytoin equivalents (PE).* On i.v. injection it is less damaging to the intima; few vascuiar complications are produced; it can be injected at a faster rate (150 mglmin).* While phenytoin cannot be injected in a drip of glucose solution, fosphenytoin can be injected with both saline and glucose.